Pain and temperature are carried by:
1. Anterior spinothalamic tract
2. Lateral spinothalamic tract
3. Dorsal column
4. None

Correct answer: 2. Lateral spinothalamic tract

Explanation: VENTROLATERAL SPINOTHALAMIC TRACT
Fibers from nociceptors and thermoreceptors synapse on neurons in the dorsal horn of the spinal cord. The axons from these dorsal horn neurons cross the midline and ascend in the ventrolateral quadrant of the spinal cord, where they form the ventrolateral spinothalamic pathway. Fibers within this tract synapse in the VPL.